Which vitamin deficiency may be observed in a patient on INH therapy:
1. Thiamine
2. Pyridoxine
3. Folic acid
4. Cyanocobalamin

Correct answer: 2. Pyridoxine

Explanation: Ans: B i.e. Pyridoxine The main cause of pyridoxine deficiency is a lack of pyridoxine in the diet. Another cause of vitamin B6 deficiency is the use of the ATT medication isoniazid, and for this reason, it is usually replaced with vitamin B6 whilst using this drug.